The major fuel in the brain after several weeks of starvation is:
1. Glucose
2. Fatty acid
3. b-Hydroxybutyrate
4. Glycerol

Correct answer: 3. b-Hydroxybutyrate

Explanation: Ans. C. b-Hydroxybutyrate(Ref: Harper 31/e page 210)In the prolonged fasting stage, 20% of brains energy is met by ketone bodies. Rest by available glucose. But after several weeks of starvation, ketone bodies provide the major metabolic fuel.